Dental porcelains are crystalline materials of:
1. Rubber
2. Plastic
3. Organic substances
4. Glass

Correct answer: 4. Glass